HBAIC level in blood explains:
1. Acute rise of sugar
2. Long terms status of blood sugar
3. Hepatorenal syndrome
4. Chronic pancreatitis

Correct answer: 2. Long terms status of blood sugar

Explanation: Answer is B (Long term status of blood sugar): `Measurement of glycated haemoglobin is the standard method for assessing long term glycaemic control When plasma glucose is consistently elevated there is an increase in non enzymatic glycation of haemoglobin - small amount of HbA are nonenzymatically glycated to form HbA lc. This alteration reflects the glycemic history over previous 2-3 months (since erythrocytes have an average life span of 120 days i.e. about 3 months)